Which of the following is/are indication of full mouth rehabilitation
1. Multiple missing, wornout, broken down or decayed teeth
2. Replace improperly designed and executed crown and bridge framework
3. Cautious Treatment of TMJ
4. All of the above

Correct answer: 4. All of the above

Explanation: All the 3 are indications of full mouth rehabilitation.